The type of mammary ductal carcinoma in situ (DCIS) most likely to result in a palpable abnormality in the breast is
1. Apocrine DCIS
2. Neuroendocrine DCIS
3. Well differentiated DCIS
4. Comedo DCIS

Correct answer: 4. Comedo DCIS

Explanation: DCIS has a wide variety of histologic appearances. Architectural patterns often are mixed and include solid, comedo,n cribriform, papillary, micropapillary, and "clinging" types.The comedo subtype is distinctive and is characterized by cells with high-grade nuclei with extensive central necrosis ref : Robbins Basic Pathology, 9E,page-710 ref img